Duret hemorrhage seen in -
1. Brain
2. Kidney
3. Heart
4. Lung

Correct answer: 1. Brain

Explanation: Ans. is 'a' i.e., Brain o Duret - Bernard hemorrhage can be seen with severe compression of the midbrain and other brainstem areas during transtentorial herniation.